Folding protein are
1. GLUT-1
2. Calnexin
3. Cytochrome 450
4. Insulin receptor

Correct answer: 2. Calnexin

Explanation: Calnexin is a chaperone, characterized by assisting protein folding and quality control, ensuring that only properly folded and assembled proteins proceed further along the secretory pathway.Ref: Harper's Illustrated Biochemistry, 26th edition, page no: 508